Which is wrong regarding EMLA cream
1. It is eutectic mixture of local anesthetics
2. Requires 5% Lignocaine and 5% Prilocaine to make it.
3. Ratio of Lignocaine to Prilocaine is 1:2
4. Applied over skin surface

Correct answer: 3. Ratio of Lignocaine to Prilocaine is 1:2

Explanation: Lignocaine to prilocaine is in 1:1 ratio. EMLA cream - Eubetic mixture of local anesthetics It is a cream which consists of 1:1 Mixture of 2.5 % Lidocaine and 2.5% prilocaine. In the EMLA cream concentration of drug is 2.5% each but required to make EMLA is 5% concentration each. Contact time required = 60 minutes Depth of Penetration = 3-5 mm Duration of Analgesia = 1-2 hour The amount of drug absorbed depends on application time, dermal blood flow, keratin thickness and total dose administered. c/i of application of EMLA - 1. Mucous membrane 2. Broken skin 3. < 1 year Uses - laser removal of po wine stains Lithotripsy Circumcision Venous emulation Skin graft harvesting